In infants and toddlers, craniotabes is a sign related to the deficiency of __________
1. Vitamin A
2. Vitamin C
3. Vitamin D
4. Vitamin K

Correct answer: 3. Vitamin D

Explanation: Craniotabes is one of the earliest manifestations of rickets.It is due to thinning of outer table of the skull and detected by pressing firmly over the occiput or posterior parietal bones.A ping-pong-ball sensation is felt. Page 185,Nelson textbook of pediatrics 16th edition